For hormonal study, sample should be taken from which wall of vagina
1. Anterior
2. Posterior
3. Lateral
4. Any wall

Correct answer: 3. Lateral

Explanation: Lateral walls of vaginaThe upper one third is related with the pelvic cellular tissue at the base of broad ligament in which ureter and uterine artery lie approximately 2cm from lateral fornicesThe middle third is blended with levator ani The lower third is related to bulbocavernosus muscle, vestibular bulbs and Bartholin glands.Ref: D.C. Dutta's Textbook of Gynaecology, 6th edition, page no: 5